How to test for the long thoracic nerve
1. Touch the opposite shoulder
2. Shoulder shrug
3. Raise the arm above the head
4. Lift an object from the ground

Correct answer: 3. Raise the arm above the head

Explanation: The long thoracic nerve supplies the serratus anterior muscle. Its root value is C5, C6andC7. Serratus anterior is one of the main muscle for overhead abduction. So we can test the long thoracic nerve by asking the patient to abduct his arms overhead and forward pressure with the hands against a wall, or against resistance offered by examiner. B D Chaurasia 7th edition Page no : 46 and 47.